Which of the following increases secretion of GH?
1. Senescence
2. Insulin-like growth factor-1 (IGF-1)
3. Somatostatin
4. Hypoglycemia

Correct answer: 4. Hypoglycemia

Explanation: Hypoglycemia is a potent stimulus for GH. GH decreases with aging and in response to the hypothalamic inhibitory hormone somatostatin. GH secretion would decrease in response to both exogenous GH administration and IGF-1 as a result of negative feedback inhibition